True about Biclutamide is?
1. Binds to androgen receptor
2. Causes gynecomastia
3. It can be given as monotherapy in prostatic carcinoma
4. All are true

Correct answer: 4. All are true

Explanation: All are true REF: Cancer Chemotherapy and Biotherapy: Principles and Practice by bruce A. Chabner, Dan L. Longo Page 679, Goodman Gillman's 11th ed p. 1021 ANDROGEN RECEPTOR ANTAGONISTS (Flutamide, Bicalutamide, and Nilutamide) * Bicalutamide is an oral non-steroidal anti-androgen used in the treatment of prostate cancer and hirsutism. It was first launched as a combination treatment (with surgical or medical castration) for advanced prostate cancer and subsequently launched as monotherapy for the treatment of earlier stages of the disease. Bicalutamide is a teratogen and must not be handled by females who are or may become pregnant Adverse reactions include reproductive system and breast disorders, breast tenderness, gynecomastia, hot flushes, gastrointestinal disorders, diarrhea, nausea, hepatic changes (elevated levels of transaminases, jaundice), asthenia and pruritus